Contraindication of bag and mask ventilation are all of the following except:
1. Tracheo-esophageal fistula
2. Hiatus hernia
3. Pregnancy
4. Empty stomach

Correct answer: 4. Empty stomach

Explanation: Ans. D: Empty Stomach Bag-mask ventilation can produce gastric inflation with complications, including regurgitation, aspiration, and pneumonia. Conditions predisposing to aspiration are: Full stomach patients Hiatus hernia, pregnancy Intestinal obstruction Tracheo-esophageal fistula Meconium aspiration syndrome Gastric inflation can elevate the diaphragm, restrict lung movement, and decrease respiratory system compliance